Gamma motor neurons are mainly influenced by-
1. Vestibulospinal tract
2. Reticulospinal tract
3. Anterior corticospinal tract
4. Tectospinal tract

Correct answer: 2. Reticulospinal tract

Explanation: B (Reticulospinal tract) Ref: l.Pal GK. Regulation of Posture and Movement. In: Textbook of Medical Physiology. 114: 859. 2. Pal GK. Descending Pathways. In: Textbook of Medical Physiology. Abuja Publishing House. 2007: 113: 845. 850. Explanation: Corticospinal tract - 30% terminate in alpha motor neuron; 70% ends with interneurons in spinal cord Tectospinal tract - regulates contralateral movement of head to visual stimulus Vestibulo spinal tract - acts through a- motor neuron Reticulospinal tract - influences gamma motor neuron